Shortest peptide. is:
1. Angiotensin-III
2. Vasopressin
3. Angiotensin-II
4. Angiotensin-I

Correct answer: 1. Angiotensin-III

Explanation: Angiotensin-III